Branch of the posterior division of internal iliac artery is -
1. Superior gluteal artery
2. Inferior gluteal artery
3. Superior vesical artery
4. Middle rectal artery

Correct answer: 1. Superior gluteal artery

Explanation: Internal iliac artery- Branches
-        Anterior division

Superior vesical
Middle rectal
Inferior vesical
Internal pudendal
Vaginal
Uterine
Obturator
Inferior gluteal 

-        Posterior division

Iliolumbar
Lateral sacral
Superior gluteal